All of the following are short acting benzodiazepines except
1. Midazolam
2. Lorazepam
3. Diazepam
4. Temazepam

Correct answer: 3. Diazepam

Explanation: Temazepam, Oxazepam, Lorazepam, Estrazolam are short acting Benzodiazepines.